Which of the following does not need a primer ?
1. DNA Polymerase I
2. RNA Polymerase
3. DNA Polymerase II
4. DNA Polymerase III

Correct answer: 2. RNA Polymerase

Explanation: DNA Polymerase needs RNA primer, which is synthesized by Primase. RNA Polymerase Doesn't need a primer as RNA Polymerases have the ability to initiate synthesis de novo. No proof reading activity DNA dependent RNA Polymerase Shine dalgarno sequence is recognized by protein synthesizing machinery i.e. Ribosome